A patient comes in stuporous condition. Patient's parents give history of patient being continually sad and suicidal attempts and not eating and sleeping for most of the time. The treatment is:
1. ECT
2. Antidepressant
3. Antipsychotic
4. Sedative

Correct answer: 1. ECT

Explanation: This patient most likely has depression with stupor. ECT is the treatment of choice Indications of ECT Depression with suicide risk Depression with stupor Psychotic depression,treatment refractoriness